In hypokalaemia all ECG changes are seen except
1. Decreased T-wave amplitude
2. Normal ST segment
3. prolonged QT interval
4. U-wave

Correct answer: 2. Normal ST segment

Explanation: Electrocardiographic changes in hypokalemia include broad flat T waves, ST depression, u wave and QT prolongation. These are most marked when serum K+ is <2.7 mmol/L. (reference: harrisons principles of internal medicine,19E page-307)